Which of the following is not true about measurement of blood pressure?
1. The bladder of the blood pressure cuff should cover more than 80% of the arm cricumference
2. The blood pressure cuff should be at a higher level than the heart
3. Patient should be in resting position
4. Cuff should be tied over upper arm

Correct answer: 2. The blood pressure cuff should be at a higher level than the heart

Explanation: Cuff and manometer should be at heart level so that the effect of gravity on blood pressure can be avoided. If above the heart level the pressure is found to be increased and if it is below it found to be decreased. Ref: Textbook of medical physiology by N Geetha, 3rd edition, page no. 195